All of the following anticancer drugs are cell cycle non-specific except?
1. Cisplatin
2. Vincristine
3. Mitomycin-C
4. Cyclophosphamide

Correct answer: 2. Vincristine

Explanation: CELL CYCLE NON-SPECIFIC DRUGS 1. Alkylating agents Melphalan Cyclophosphamide Nitrosourea 2. Platinum compounds Cisplatin Carboplatin Oxaliplatin 3. Anthracyclines Doxorubicin Daunorubicin Epirubicin Mitoxantrone 4. Antitumor antibiotics Dactinomycin Mitomycin-C